True about simple randomization is-
1. Every person has an equal chance of selection
2. Less number of samples are obtained
3. Also known as systemic randomization
4. Groups are not distributed

Correct answer: 1. Every person has an equal chance of selection

Explanation: Park's textbook of preventive and social medicine 23rd edition *With this procedure,the sample is drawn in such a way that each unit has an equal chance of being drawn in the sample.